Positive Fouchet's test gives which color?
1. Red
2. Green
3. Violet
4. Yellow

Correct answer: 2. Green

Explanation: Fouchet's test : This test is also employed for the detection of bile pigments. Bile pigments are adsorbed on  barium sulfate. Fouchet's reagents (containing ferric chloride in  trichloroacetic acid) oxidizes bilirubin to biliverdin (green) and bilicyanin (blue).
Satyanarayana, Ed 3, Pg No 767